Which of the following auto antibody is specific for SLE
1. ds DNA
2. Anti RO
3. Anticentromere
4. Antitopoisomerase

Correct answer: 1. ds DNA

Explanation: ds DNA ref Robbins 8/e p214_215;9/e p218-219 Autoantibodies of different specificities contribute to the pathology and clinical manifestations of SLE (type II hyper- sensitivity). Autoantibodies against red cells, white cells, and platelets opsonize these cells and lead to their phagocy- tosis, resulting in cytopenias. Autoantibodies against various phospholipids lead to increased thrombosis in patients, with varied clinical consequences, including recurrent spontaneous abortion and thrombotic epi- sodes. These disorders are part of the antiphospholipid syndrome. Paradoxically, these antibodies interfere with clotting tests and are actually called "lupus anticoagu- lants." Autoantibodies are also produced against clot- ting factors such as thrombin, and these too may contribute to clotting disorders. Autoantibodies against central nervous system receptors for various neurotransmit- ters have been implicated in the neuropsychiatric com- plications of the disease.